Paranasal polyp CT view?
1. Corona!
2. Axial
3. Sagital
4. 3D

Correct answer: 1. Corona!

Explanation: Ans. is 'a' i.e., Coronal Both coronal and axial view are used, but coronal views are best to study paranasal sinus polyps.